A person feels that grains of sand are lying under the skin or some small insects are creeping on the skin giving rise to itching sensation the condition is seen in:
1. Cocaine poisoning
2. Orgfanophosphorus poisoning
3. Morphine poisoning
4. Alcohol withdrawal

Correct answer: 1. Cocaine poisoning

Explanation: A i.e. Cocaine poisoning